Reduction in severity of gingivitis occurs by which month?
1. 2 month of pregnancy
2. 2 month postpartum
3. 3 month postpartum
4. 3 month postpartum pregnancy

Correct answer: 2. 2 month postpartum

Explanation: Partial reduction in the severity of gingivitis occurs by 2 months postpartum, and after 1 year the condition of the gingival is comparable to that of patients who have not been pregnant